The features of Achondroplasia inlcude all,except -a) Defective headb) Intellectual disabilityc)  Autosomal recessived) Familial
1. bc
2. c
3. ac
4. ad

Correct answer: 1. bc

Explanation: Achondroplasia has an autosomal dominant pattern of inheritance.
Intelligence and sexual development is normal.
Skull is large with a bulging vault and forehead.